A 'non-parametric test' used to compare three or more independent groups of sampled data?
1. Chi-square test
2. Fishers test
3. Kruskal-Wallis test
4. McNemar test

Correct answer: 3. Kruskal-Wallis test

Explanation: Kruskal-Wallis Test is a non-parametric test (distribution-free) used to compare three or more independent groups of sampled data.